True about mitochondrial DNA:
(A)Linear
(B)Circular
(C)Transmitted by mother only
(D)Transmitted by both parents
(E)Contains less gene than nuclear DNA
1. BCE
2. ABD
3. DAE
4. CAB

Correct answer: 1. BCE